Postmortem staining gets fixed within:
1. 1 h after death
2. 4-6 h after death
3. 8-12 h after death
4. 24 h after death

Correct answer: 3. 8-12 h after death

Explanation: Ans. 8-12 h after death